Acute paronychia is commonly treated by:
1. I & D
2. Partial nail avulsion
3. Total nail avulsion
4. Nail bed destruction

Correct answer: 1. I & D

Explanation: Acute paronychia It is a common complaint usually due to staphylococcal infection.
It can easily be drained by incision with a size 11 scalpel.
Deeper lesions are best treated by antibiotics initially, but if they do not improve within 2 days,incision under local anaesthesia is required, particularly in childhood.
The incision is made laterally in the proximal nail fold.